Example of physiological atrophy is-
1. Decrease in uterus size after delivery
2. Disuse atrophy
3. Atrophy of a muscle after nerve damage
4. Senile atrophy

Correct answer: 1. Decrease in uterus size after delivery

Explanation: Ans. is 'a' i.e., Decrease in uterus size after delivery Atrophy* Atrophy is the reduced size of an organ or tissue resulting from a decrease in cell size and number. Atrophy may be physiological (atrophy of notochord and thyroglossal duct during fetal development; decrease in uterus size after delivery); or pathological (e.g. disuse atrophy, denervation atrophy, senile atrophy etc).